Impaired insight is evident in -
1. Psychosomatic disorder
2. Anxiety neurosis
3. Post traumatic stress disorder
4. Schizophrenia

Correct answer: 4. Schizophrenia